Which of the following cause low serum calcium?
1. Vit D deficiency
2. Parathyroid
3. GH
4. Glucocorticoids

Correct answer: 1. Vit D deficiency

Explanation: Vitamin D is a group of fat-soluble secosteroids responsible for enhancing intestinal absorption of calcium and phosphate. Calcitriol circulates as a hormone in the blood, regulating the concentration of calcium and phosphate in the bloodstream and promoting the healthy growth and remodeling of boneRef: Ganong's review of medical physiology; 24th edition; page no:-379